Subperiosteal resorption that is most apparent on the radial aspect of the middle phalanx of the second and third fingers is seen in:
1. Hyperthyroidism
2. Hyperparathyroidism
3. Osteoporosis
4. Osteogenesis imperfecta

Correct answer: 2. Hyperparathyroidism

Explanation: Advanced primary hyperparathyroidism with osteitis fibrosa cystica now occurs in It has pathognomonic radiologic findings, which are best seen on x-rays of the hands and are characterized by subperiosteal resorption (most apparent on the radial aspect of the middle phalanx of the second and third fingers), bone cysts, and tufting of the distal phalanges. Ref: Schwartz's principle of surgery 9th edition, chapter 38.